Progesterone is added to estrogen HRT in -
1. Post menopausal lady with uterus
2. TFS/AIS syndrome
3. Post menopausal patient after hysterectomy
4. All of the above

Correct answer: 1. Post menopausal lady with uterus

Explanation: Ans. is 'a' i.e., Post menopausal lady with uterus * Based on the results of Women's Health Initiative (WHI) trial, the following are now the accepted indications for HRT:1) Menopausal symptoms such as hot flushes, vaginal dryness, mood swings, irritability, etc2) Prevention and treatment of osteoporosis3) Decreased libidoEstrogen (E) and progesterone (P) combination:* As unopposed estrogen is a risk factor for endometrial hyperplasia and cancer; in women with intact uterus both E + P should be given. In hysterectomized women, only E can be given.* The most commonly prescribed oral estrogen is conjugated equine estrogen (CEE).* The most common progestin is medroxyprogesterone acetate (MPA).* Options B & C do not have a uterus & hence progesterone is not needed.